The term catatonia is coined by -
1. Kahlbaum
2. Freud
3. Maxwell jones
4. Adler

Correct answer: 1. Kahlbaum